All of the following transport processes follow 'saturation kinetics' except
1. Facilitated diffusion
2. Na+ - Ca2+ exchanger
3. Simple diffusion
4. Na+ coupled active transport

Correct answer: 3. Simple diffusion

Explanation: Diffusion primarily depends on the concentration of molecules. Passage of ions or molecule from a region of higher concentration to a lower concentration without the expenditure of energy is called diffusion. (REF TEXTBOOK OF MEDICAL PHYSIOLOGY GEETHA N 2 EDITION, PAGE NO - 4)